Trinucleotide repeats found ina) Huntigton's diseaseb) Spinocerebellar ataxiac) Amyotropic lateral sclerosisd) Sclerosis
1. ac
2. a
3. ad
4. ab

Correct answer: 4. ab

Explanation: Examples of trinucleotide repeat mutation :-


Huntignton's disease      
Spinocerebella ataxia 
Friedreich ataxia      
Fragile - X-syndrome
Dystrophia myotanica
Dentorubral pallidoluysiane atrophy
X-chromosome spinobulbar muscular atrophy